All are Glucogenic hormones except?
1. ADH
2. Glucagon
3. Thyroxine
4. Glucocorticoids

Correct answer: 1. ADH

Explanation: Ans. A ADHRef: Ganong, 25th ed. pg. 442Glucagon, thyroxine, cortisol and growth hormone increase blood sugar levels and are glucogenic. ADH regulates water re-absorption via the collecting duct.